which muscle of the follwoing belongs to the 3rd layer of muscles of foot
1. abductor hallucis
2. flexor hallucis brevis
3. plantar interossii
4. lumbricals

Correct answer: 2. flexor hallucis brevis

Explanation: First layer Muscles 1. Flexor digitorum brevis. 2. Abductor hallucis. 3. Abductor digiti minimi Features They cover whole of the sole Second layer 1.Flexor digitorum accessories Flexor digitorum accessorius and 2.Four lumbricals. lumbricals are attached to the 3.Two tendons (tendon of flexor digitorum tendon of flexor digitorum 'onus longus and tendon of flexor hallucis longus) Third layer 1. Flexor hallucis brevis. 2. Flexor digiti minimi brevis. 3. Adductor hallucis 1. They are confin. to the metatarsal region of the sole. 2. Two of these muscles act on the big toe and one on the little toe 1. Interossei (3 plantar interossei and 4 dorsal Fourth interossei). They fill up the intermetatarsal layer 2. Tendon of tibialis posterior. spaces 3. Tendon of peroneus longus There are 2 neurovascular planes between the muscle layers of the sole ref : bd chaurasia